Which of the following is not typical of Parkinson’s disease
1. Rigidity
2. Myoclonus
3. Tremors
4. Bradykinesia

Correct answer: 2. Myoclonus

Explanation: Triad in PD is rigidity, bradykinesia and tremor.